Disinterest in food with protein/calorie malnutritionFor each of the above mention side effects, select the most likely medication to cause them.
1. selective serotonin reuptake inhibitors (SSRIs)
2. mineral oil
3. diuretics
4. INH

Correct answer: 1. selective serotonin reuptake inhibitors (SSRIs)

Explanation: Tricyclic antidepressants and SSRIs are both effective treatments for depression, but their side effect profiles are different. Tricyclics can promote weight gain while weight loss is more common with SSRIs.